A 60- years old man fell in the bathroom and was unable to stand, on right buttock region ecchymosis with external rotation of the leg and lateral border of foot touching the bed. The most probable diagnosis is -
1. Extracapsular fracture neck of femur
2. Anterior dislocation of hip
3. Intracapsular fracture neck of femur
4. Posterior dislocation of hip

Correct answer: 1. Extracapsular fracture neck of femur

Explanation: Lateral border of foot touching the bed, that means there is extreme external rotation.
This occurs in extracapsular neck fracture (basal / basicervical) and IT fractures.